Battle's sign is
1. Periorbital ecchymosis
2. Ecchymosis around mastoid area
3. Facial congestion and cyanosis
4. Pulsatile ear discharge

Correct answer: 2. Ecchymosis around mastoid area

Explanation: (B) Ecchymosis around mastoid area # Battle's sign, or mastoid ecchymosis, is an indication of fracture of posterior cranial fossa of the skull, and may suggest underlying brain trauma.> Battle's sign (named after William Henry Battle) consists of bruising over the mastoid process, as a result of extravasation of blood along the path of the posterior auricular artery.> Note well that this sign will take at least one day to appear after the initial traumatic basilar skull fracture, similar to Raccoon eyes.> It is usually seen after head injuries resulting in injury to mastoid process leading to bruising.> Battle's sign may be confused with a spreading hematoma from a fracture of the mandibular condyle (less serious injury).